Inner subjective thought of a person towards an individual or situation is best termed as:
1. Attitude
2. Value
3. Belief
4. Opinion

Correct answer: 1. Attitude

Explanation: Attitudes are acquired characteristics of an individual. They are more or less permanent ways of behaving. An attitude has been defined as a relatively enduring organization of beliefs around an object, subject or concept which pre-disposes one to respond in some preferential manner. Once formed, attitudes are difficult to change. Opinion are views held by people on a point of dispute. Beliefs are permanent, stable, almost unchanging. It is thus easier to give up one's opinions when faced with facts; attitudes and beliefs do not succumb so easily. Ref: Park's Textbook of Preventive and Social Medicine, 19th edition, Page 541-542.